For viewing superior orbital fissure, the best view is:
1. Plain AP view
2. Caldwell view
3. Towne view
4. Basal view

Correct answer: 2. Caldwell view

Explanation: Superior orbital fissure can be seen by caldwell view and water's view.